Which of the following soft tissue responses may occur as a reaction to orthodontic bands?
1. Marginal gingivitis
2. Gingival fibrosis
3. Ulcerative gingivitis
4. Fulminating periodontitis

Correct answer: 1. Marginal gingivitis